Power of normal eye is:
1. +6D
2. +10D
3. +16D
4. +60D

Correct answer: 4. +60D

Explanation: Total dioptric power of this schematic eye is 58.64 [?] 60D Refractive Power of Cornea =+45 D Refractive Power of Lens =+15 D